"Dilapidated brick wall appearance" is seen in
1. Darier's disease
2. Pyrogenic granuloma
3. Hailey Hailey disease
4. Dyskeratosis congenita

Correct answer: 3. Hailey Hailey disease

Explanation: Hailey Hailey disease is characterized by defect in calcium pump essential for desmosome function because of mutation in ATP2C1 gene.